The pontic design of choice in the appearance zone of
maxillary and mandibular bridge
1. Hygienic
2. Modified ridge lap
3. Saddle
4. Conical

Correct answer: 2. Modified ridge lap